Which of the following cements is most kind to pulp?
1. Glass ionomer
2. Polycarboxylate
3. Silicate
4. Resin cement

Correct answer: 2. Polycarboxylate

Explanation: Polycarboxylate cements produce minimal irritation to the pulp. The larger size of the polyacrylic acid molecules compared with those of phosphoric acid limits acid penetration into the dentinal tubules, contributing to the excellent bio-compatibility and lack of postoperative sensitivity of polycarboxylate cement.
Ref: Manappalil P: 96